A male 35 years old presents to the dental clinic with pain in lower back tooth region. Intraoral examination reveals carious #36. Root canal treatment done and metal ceramic crown has to be placed. Dentist makes an impression with condensation silicone. The material used has the mean working time and the mean setting time respectively at 37 degree Celsius (in minutes):
1. 2.5; 8.9
2. 1.8; 5.9
3. 1.8; 8.9
4. 2.5; 5.9

Correct answer: 1. 2.5; 8.9

Explanation: Key concept: An increase in temperature accelerates the rate of polymerization of all elastomeric impression materials; therefore, the effect of temperature on working and setting time should be taken into consideration.
Working and Setting Time of Elastomeric Impression Materials: